The growth factor required for the growth of vibrio parahemolyticus is ?
1. Saline
2. Tryptophan
3. Bile
4. Citrate

Correct answer: 1. Saline

Explanation: Ans. is 'a' i.e., Saline